The most common mechanism of resistance to drugs in Staphylococcus is
1. Conjugation
2. Transformation
3. Episomes
4. Transduction

Correct answer: 4. Transduction

Explanation: Transduction is phage-mediated genetic recombination in bacteria. In simplest terms, a transducing particle might be regarded as a bacterial nucleic acid in a phage coatStaphylococci are variably susceptible to many antimicrobial drugs. Resistance is caused by several mechanisms, one of these is: b-Lactamase production is common, is under plasmid control, and makes the organisms resistant to many penicillins (penicillin G, ampicillin, ticarcillin, piperacillin and similar drugs). The plasmids are transmitted by transduction and perhaps also by conjugation.Reference: Jawetz, Melnick, & Adelberg's Medical Microbiology; 27th edition; Chapter 13; The Staphylococci